The best dressing is -
1. Opsite
2. Amnion
3. Tulle grass
4. Skin

Correct answer: 4. Skin